Grade!!! malnuition according to IAP is ?
1. 50%
2. 51-60 %
3. 61-80%
4. 81-100%

Correct answer: 2. 51-60 %

Explanation: Ans. is 'b' i.e., 51-60% o Indian academy of pediatrics (IAP) classification of malnutrition is based on weight for age. o IAP designates a weight of more than 80% of expected for age as normal. o Grades of malnutrition are ? Grade I --> 71-80% Grade III --> 51-61% Grade II --> 61-70% Grade IV --> 50%